All are involved in fast axonal transport, except
1. Kinesin
2. Dynein
3. Lysosomes
4. Neurofilaments

Correct answer: 4. Neurofilaments

Explanation: In axonal transport, the protein kinesin, with a myosin-like ATPase activity, uses hydrolysis of ATP to move vesicles down the axon toward the positive end of the microtubular formation. Flow of materials in the opposite direction, toward the negative end, is powered by cytosolic dynein, another protein with ATPase activity. Similarly, axonemal dyneins power ciliary and flagellar movement. Another protein, dynamin, uses GTP and is involved in endocytosis. Kinesins, dyneins, dynamin, and myosins are referred to as molecular motorsReference: Harper biochemistry 30th edition page no 665